Taste sensation is carried by all except:
1. Facial nerve.
2. Vagus nerve
3. Trigeminal nerve.
4. Glossopharyngeal nerve

Correct answer: 3. Trigeminal nerve.